Among the following. which one is not a good dietan source of iron -
1. Liver
2. Jaggery
3. Fish
4. Milk

Correct answer: 4. Milk

Explanation: Ans. is 'd' i.e., Milk"Iron content of milk is law in all mammalian speles". - ParkSource of iron There are two major forms of iron.1. Haeni-ironBetter absorbedLess important source of iron in Indian diet.a Sources are --> Liver, meat, pouliy and fish (hods of animal origin).2. Non-haem ironPoorly absorbed but is the important source of iron in the diet of a large majority of Indian people.Sources are --> Vegetable origin, i..e, cereals, green leafy vegetables, Leugumes, nuts, oilseeds, jaggery and dried fruits.